The Hunterian ligature operation is performed for:
1. Aneurysm
2. Varicose veins
3. AV fistulas
4. Acute arterial ischemia

Correct answer: 1. Aneurysm

Explanation: HUNTERIAN LIGATION Hunterian ligation refers to one of the oldest successful interventions for arterial aneurysms ligation of the femoral artery to treat popliteal aneurysm by john Hunter in 1785.